Aberrometer is used to measure:
1. Endothelial count
2. Keratometry
3. Higher order abberation
4. Corneal stroma

Correct answer: 3. Higher order abberation

Explanation: Abberrometer is used to measure higher order abberations. Corneal investigations Specular: Endothelial Count. Aberrometer : Corneal higher order abberations. Aesthesiometer: Corneal Sensations. Placido disc: Keratometry(anterior surface of cornea). Pentacam & Orb scan: Both anterior & posterior surface of cornea. Pentacam: Investigative modality of choice to do any corneal topography, it may be keratoconus, ectasia, LASIK. Topography Corneal Topography Confocal microscopy: visualize stroma & used in diagnosis of stromal dystrophies & latent infections.